When P.D. probing in gingivitis done, depth is measured
from
1. Base of pocket to CD
2. Base of pocket to free marginal gingiva
3. Marginal gingiva to CEJ
4. Junctional epithelium to free gingival margin

Correct answer: 2. Base of pocket to free marginal gingiva